Burkitt's lymphoma shows which translocation?
1. 8:14
2. 9:22
3. 11:14
4. 14:18

Correct answer: 1. 8:14

Explanation: All forms of Burkitt lymphoma are highly associated with translocation of MYC gene on chromosome 8 that lead to increased MYC protein levels.The translocation partner for MYC is usually the IgH locus (t (8;14)) but may also be the Ig kappa (t (2;8)) or lambda (t (8;22)) light chain loci. Reference : Robbins and Cotran Pathologic basis of disease.South Asia Edition volume 1.page no. 597